One of the following is supplied by median nerve:
1. 1st and 2nd lumbricals
2. Hypothenar muscles
3. Palmar interossei
4. Dorsal in terossei

Correct answer: 1. 1st and 2nd lumbricals

Explanation: Ans: A (1st and 2nd lumbricals) Ref: Gray's Anatomy: Anatomical basis of clinical practice by Susan Standring,ChurchiU Livingstone, 40th edition, 2008, Pg. 895Explanation:BrachialplexusbranchOriginSpinal segmentFunctionMediannerveMedia) and lateral cordsC5 to T1Motor:* All muscles in anterior compartment of forearm (except flexor carpi ulnaris and medial half of flexor digitorum profundus)* Three thenar muscles* Two lateral lumbncal muslcesSensory:Skin over the palmar surface of the lateral three and one half digits and lateral side of palm and middle of wrist